20 mEq (mmol) of potassium chloride in 500 ml of 5% dextrose solution is given intravenously to treat?
1. Metabolic alkalosis
2. Respiratory alkalosis
3. Metabolic acidosis
4. Respiratory acidosis

Correct answer: 1. Metabolic alkalosis

Explanation: Ans. is 'a' i.e., Metabolic alkalosis